Which of the following muscles has dual nerve supply:
1. Digastric
2. Lateral pterygoid
3. Masseter
4. Temporalis

Correct answer: 1. Digastric